All are ture about pseudopancreatic cyst of pancreas except :
1. Common after acute pancreatitis
2. Presents as an abdominal mass
3. Serum amylase is increased
4. Most common site is in head of pancreas

Correct answer: 4. Most common site is in head of pancreas

Explanation: Answer is D (Mostly present in head of pancreas) Short bowel syndrome (massive small bowel resection) is associated with Hypergastrinemia. Most common site for pseudopancreatic cyst is the body and tail ofpancreas - Harrison Pseudopancreatic cyst (called 'pseudo' because they do not have an epithelial lining) Etiology : Site : Diagnosis: Pancreatitis (90%) (most 85% are seen in body and tail - Serum amylase level is elevated common)Q 15% are seen in head - Sonography is the investigation of Trauma (10%)Q choiceQ Complications : Factors indicating possibility of hemorrhage - X-Ray : Pseudocysts may be localized, displacing some portion ofgitQ Pain due to expansion Increase in size Haemorrhage Localized brui over massQ Rupture Sudden decrease in Ilb or Abscess hematocritQ Management * Pseudocyst > 5cm diameter is an indications for drainageQ * Pseudocyst less than 5 cm in diameter and less than 6 weeks old should be observed e,as they tend to resolve spontaneously * Initial management : US/CT guided, single or repeated needle aspirations * Later : patients who do not respond to above modality are treated with surgical therapy preferred modality : Internal drainage of cyst by cystojejunostomy. Q